Which of the following is known as "Gateway of tears" -
1. Killian's dehiscence
2. Rathke's pouch
3. Waldeyer's ring
4. Sinus of Morgagni

Correct answer: 1. Killian's dehiscence

Explanation: Inferior constrictor muscle has 2 parts; thyropharyngeus with oblique fibres and cricopharyngeus with transverse fibres. Between these 2 parts, there is a potential gap called as killians dehiscence or gateway of tears as perforation can occur at this site during oesophagoscopy and it is also the site for herniation of pharyngeal mucosa in case of the pharyngeal pouch.